All of the following are true about the papovavirus except :
1. They are non-enveloped icosahedral viruses
2. Produce papilloma
3. RNA virus
4. SV-40 is oncogenic

Correct answer: 3. RNA virus

Explanation: Papova virus are non enveloped; Icosahedral human virus containing Ds DNA as genetic material.
Family Papova virus contain 2 generas :

Papilloma virus – Contain humans and animal papilloma virus
Polyoma virus – Contain SV-40 polyoma viruses

Other papova virus are :

JC virus – Isolated from patient of Hodgkin’s disease and progressive multifocal leucoencephalopathy.
BK virus – Isolated from urine of patient with kidney transplant.
SV 40 – Produce malignant tumors when inoculated into new born mice or hamsters.